Hair follicles and fingernails originate in the _____ but are actually derived from ______ tissue.
1. Subcutaneous layer; connective
2. Dermis , Subcutaneous
3. Dermis, spidermal
4. Epidermis; dermal

Correct answer: 3. Dermis, spidermal

Explanation: the dermo-epidermal junction or dermal-epidermal junction (DEJ) is the area of tissue that joins the epidermal and the dermal layers of the skin.
 The basal cells in the stratum basale of the epidermis connect to the basement membrane by the anchoring filaments of hemidesmosomes; the cells of the papillary layer of the dermis are attached to the basement membrane by anchoring fibrils, which consist of type VII collagen